A prosthetic valve patient switches to heparin at what time during pregnancy:
1. 28 wks
2. 32 wks
3. 36 wks
4. Post partum

Correct answer: 3. 36 wks

Explanation: Anticoagulants in Pregnancy
2 main anticoagulants are